All the following are complications of formula fed baby over human milk-fed baby except
1. Necrotizing enterocolitis
2. Otitis media
3. Hypocalcemia
4. Vitamin K deficiency

Correct answer: 4. Vitamin K deficiency

Explanation: Formula milk are fortified with micronutrients like vitamins Breast milk are low in vitamin D and K which are insufficient to meet the daily requirement Ref: Ghai 9e pg 109,158.